A patient presented with the reddish discoloration for past 2-3 weeks. There is no associated pain or history of injury to eye. A probable diagnosis of Lymphoma was made. Which of the following cannot be the associated complaints in case of a ocular lymphoma
1. Loss of vision
2. Proptosis
3. Diplopia
4. None of the above

Correct answer: 4. None of the above

Explanation: Most patients notice the reddish discoloration of the surface of the eyeball (conjunctiva). As the tumor enlarges, patients seek medical attention. Conjunctival lymphomas can become large enough to displace the eyeball, and restrict eye movement. Eye movement restriction can cause diplopia (double-vision). If the tumor extends behind the eyeball, it can be pushed forward (proptosis). Rarely, and if large enough, orbital lymphoma can press on the optic nerve and cause loss of vision. If discovered early, prompt treatment offers the best chance for recovery of vision. Ref : ak khurana 7th ed